85 yr old man with carcinoma bronchus is given general anesthesia for an emergency laparotomy, post operatively neuromuscular monitoring shows delayed recovery; most probable cause is
1. Intracerebral bleed
2. Myasthenic syndrome
3. Ventilation perfusion mismatch
4. Blood loss

Correct answer: 2. Myasthenic syndrome

Explanation: There is association of myasthenic syndrome with carcinoma bronchus . Delayed recovery is seen with neuromuscular blocker in myasthenic syndrome.